Mid day meal should provide:
1. Half of the total energy requirement and half of the protein need
2. Half of the total energy requirement and one-third of the protein need
3. One-third of the total energy requirement and half of the protein need
4. One-third of the total energy requirement and one-third of the protein need

Correct answer: 3. One-third of the total energy requirement and half of the protein need

Explanation: Ans. C: One-third of the total energy requirement and half of the protein need Mid-day meals provides 1/3rd calories and 1/2 of proteins needed